Which of the following drug is not metabolized by acetylation?
1. Isoniazid
2. Hydralazine
3. Phenytoin
4. Procainamide

Correct answer: 3. Phenytoin

Explanation: Metabolism by acetylation: Two types of individuals are found, slow and fast acetylators. -Acetylation is done by N acetyl transferase enzyme. Drugs metabolised by acetylation *Sulfonamide* Hydralazine* Isoniazid* Procainamide These drugs can cause SLE.